The therapeutic advantage that pencillin V has over
pencillin G is:
1. More reliable oral absorption
2. Greater resistance to pencillinase
3. Slower renal excretion
4. Broader antibacterial spectrum

Correct answer: 1. More reliable oral absorption

Explanation: ACID-RESISTANT  ALTERNATIVE  TO PENICILLIN-G 
Phenoxymethyl penicillin (Penicillin V) 
It differs from PnG only in that it is acid stable. Oral absorption is better; peak blood level is reached in 1 hour and plasma  t½  is 30-60 minutes.
The antibacterial spectrum of penicillin V is identical to PnG, but it is about 1/5 as active against Neisseria, other gram negative bacteria and anaerobes.